Inhaled corticosteroids used in children with asthma are all except
1. Beclamethasone
2. Budesonide
3. Fluticasone
4. Dexamethasone

Correct answer: 4. Dexamethasone

Explanation: Inhaled steroid medications for better asthma control include: Beclomethasone dipropionate(Qvar) Budesonide (Pulmicort) Budesonide/Formoterol (Symbicort) - a combination drug that includes a steroid and a long-acting bronchodilator drug. Fluticasone (Flovent) Fluticasone inh powder (Arnuity Ellipta) Dexamethasone Use in preterm infants may be associated with an increased risk of cerebral palsy. Continuous treatment for over 10 days can produce adrenal suppression for 3-4 weeks. Reference: GHAI Essential pediatrics, 8th edition